Erythematous lesions with Collarets of scales on trunk
1. Pityriasis rubra
2. Pityriasis rosea
3. Pityriasis versicolor
4. Pityriasis alba

Correct answer: 2. Pityriasis rosea